Lung cancer is an industrial hazard in/for-
1. Chimney sweepers
2. Aniline industry
3. Gas industry
4. Benzol indusntry

Correct answer: 3. Gas industry

Explanation: Lung cancer is a hazard in gas industry, asbestos industry, nickel and chromium work, arsenic roasting plants. (REF. PARK'S TEXTBOOK OF PREVENTIVE AND SOCIAL MEDICAL 21ST EDITION, PAGE NO - 749)